A 18 month baby can do which of the following?
1. Hide & seek game
2. Write Alphabet
3. Say short sentence
4. Walk short distance

Correct answer: 4. Walk short distance

Explanation: Ans. (d) Walk short distanceRef: Nelson 18th ed chapter 10Hide and seek gameNot mentioned but by my experience >3 yearsWrite alphabet6 yearsSay short sentence2 yearsWalk short distance18 months